Ultrasound is useful in detecting -
1. Placenta previa
2. Intra-uterine growth retardation
3. Foetus associated with ascites
4. All of the above

Correct answer: 4. All of the above